Which of the following is an advisable chemical plaque controlling agent?
1. Disclosing agent
2. Antibiotics
3. Enzymes
4. Antiseptic mouth wash, e.g. chlorhexidine

Correct answer: 4. Antiseptic mouth wash, e.g. chlorhexidine